Antiplatelet action of aspirin is due to ?
1. Decrease thromboxane A2 synthesis
2. Inhibition of Gllb/IIIa
3. Inhibition of adenylyl cyclase
4. None of the above

Correct answer: 1. Decrease thromboxane A2 synthesis

Explanation: Ans. is 'a' i.e., Decrease thromboxane A2 synthesis